Laryngeal cartilage forming complete circle:
1. Arytenoid
2. Cricoid
3. Thyroid
4. Hyoid

Correct answer: 2. Cricoid

Explanation: Thyroid cartilage V shaped on cross section. Has 2 lamina right and left which are placed at an angle of 90deg in males and 120deg in femalesCricoid cartilage Ring shaped, (it is the only complete ring present in the air passages)Epiglottic cartilage Leaf shaped in adults, omega shaped in infants and neonatesArytenoid cartilage Pyramid shapedCorniculate cartilage Cone shapedCuneiform cartilage Rod shapedThe thyroid, cricoid and basal parts of arytenoid cartilages are made up of hyaline cartilage. They ossify after the age of 25 years. The other cartilages, e.g. epiglottis, corniculate, cuneiform and processes of the arytenoid are made of elastic cartilage and do not ossify.